In primary syphillis the lesion seen is-
1. Indurated ulcer
2. Multiplicity of lesion
3. Painful ulcer
4. Bleeding ulcer

Correct answer: 1. Indurated ulcer